Tardy ulnar nerve palsy seen in
1. Medial condyle humerus
2. Lateral condyle
3. Supracondylar condyle humerus
4. Fracture shaft humerus

Correct answer: 2. Lateral condyle

Explanation: B i.e. Lateral condyle humerus.